DOC for anaphylaxis is -
1. Morphine
2. Adrenaline
3. Hydrocortisone
4. Chlorpheniramine

Correct answer: 2. Adrenaline

Explanation: Ans. is 'b' i.e., Adrenaline Treatment of anaphylactic shock* First adrenaline should be given im to raise the blood pressure and to dilate the bronchi.* If the treatment is delayed and shock has developed, adrenaline should be given i.v. by slow injection.* The adrenaline should be accompanied by H1 antihistaminic (Chlorphenamine) and hydrocortisone - Antihistaminic slowly antagonizes the effect of histamine on H receptors, and steroids reduce vascular permeability & suppresses further response to the antigen-antibody reaction.